IOC for diffuse axonal injury is -
1. Radiograph
2. CT Scan
3. MRI
4. PET Scan

Correct answer: 3. MRI

Explanation: Ans. is 'c' i.e., MRI Diffuse Axonal Injury* A special type of deep white matter lesion consists of widespread mechanical disruption, or shearing, of axons at the time of impact.* Most characteristic are small areas of tissue injury in the corpus callosum and dorsolateral pons.* This presence of widespread axonal damage in both hemispheres is called diffuse axonal injury (DAI).* It has been proposed to explain persistent coma and the vegetative state after closed head injury.* Only severe shearing lesions that contain blood are visualized by CT, usually in the corpus callosum and centrum semiovale; however, selective imaging sequences of the MRI can demonstrate such lesions throughout the white matter. Thus MRI is considered the investigation of choice for diffuse axonal injury.